Disulfiram is a type of:-
1. Aversion therapy
2. Anticraving therapy
3. Detoxification
4. Opioid management therapy

Correct answer: 1. Aversion therapy

Explanation: Deterrent agents/Aversive agents Disulfiram (tetraethyl thiuram disulfide) When alcohol is ingested by a person who is on disulfiram, alcohol-derived acetaldehyde cannot be oxidized to acetate and this leads to an accumulation of acetaldehyde in blood. This causes the important disulfiram-ethanol reaction (DER) characterized by flushing, tachycardia, hypotension, tachypnoea, palpitations, headache, sweating, nausea, vomiting, giddiness and a sense of impending doom associated with severe anxiety. When we try to decrease the frequency of behavior because it can cause a really bad consequence It will be called as an aversion or Aversive therapy. Anti-craving agents Acamprosate, naltrexone and SSRIs (such as fluoxetine) are among the medications tried as anti-craving agents in alcohol dependence. Detoxification Detoxification is the treatment of alcohol withdrawal symptoms, i.e. symptoms produced by the removal of the 'toxin' (alcohol). The drugs of choice for detoxification are usually benzodiazepines.